Drug of choice for psoriasis in pustular psoriasis in pregnancy is?
1. Methotrexate
2. Ciclosporin
3. Systemic steroids
4. Azathioprine

Correct answer: 3. Systemic steroids

Explanation: Ans. is 'c' i.e., Systemic steroids * Pustular psoriasis in pregnancy can usually be successfully treated with topical and systemic corticosteroids.